Bacteria with potent exotoxin is
1. Clostridium tetani
2. Pseudomonas
3. Shigella
4. Klebsielia

Correct answer: 1. Clostridium tetani